Inferior thyroid artery is related to -
1. Superior laryngeal nerve
2. Recurrent laryngeal
3. Glossopharyngeal nerve
4. XII nerve

Correct answer: 2. Recurrent laryngeal

Explanation: Ans. is 'b' i.e., Recurrent laryngeal Blood supply of thyroidArteryBranch ofRelated toRemarkSuperior thyroidExternal carotidExternal laryngeal N.During thyroidectomy superior thyroid artery is ligated close to upper pole of gland to avoid injury to external laryngeal nerve.Inferior thyroidThyrocervical trunkRecurrent laryngeal N.During thyroidectomy inferior thyroid artery is ligated away from the lower pole to avoid injury to recurrent laryngeal nerveLowest thyroid A. (thyroid ima )Brachiocephalic trunk or Aorta Accessory thyroidTracheal & esophageal arteries